Gingival fluid from diabetics contain a reduce level of cyclic adenosine monophosphate which may lead to
1. Increased severity of gingival inflammation
2. Decreased severity of gingival inflammation
3. No response on gingiva
4. Epithelial desquamation

Correct answer: 1. Increased severity of gingival inflammation